Thalassemia gives protection against-
1. Filaria
2. Kala-azar
3. Malaria
4. Leptospirosis

Correct answer: 3. Malaria

Explanation: ROBBINS BASIC PATHOLOGY . 9/eChapter red cells and bleeding disorders .pg number413. There will be decreased synthesis of alpha or beta chains of hb. The malarial pathogens cannot survive due to decreased oxygen. Option 3 is correct.